Highest concentration of potassium is seen in ?
1. Jejunum
2. ileum
3. Duodenum
4. Colon

Correct answer: 4. Colon

Explanation: Ans. is 'd' i.e., Colon